What is the most probable portal of entry for Aspergillus
1. Puncture wound
2. Blood
3. Lungs
4. Gastrointestinal tract

Correct answer: 3. Lungs

Explanation: Aspergillosis is caused by the inhalation of Aspergillus conidia or mycelial fragments which are present in the decaying matter, soil or air, resulting in aspergillus asthma, bronchopulmonary aspergillosis and aspergilloma. Ref: Textbook of Microbiology, Ananthanarayan and Paniker; 9th edition